Which of the following artery give rise to uterine artery?
1. Aorta
2. Common iliac
3. Internal iliac artery
4. External iliac

Correct answer: 3. Internal iliac artery

Explanation: Uterus receives blood supply from uterine and ovarian artery. Uterine artery is a branch of anterior trunk of internal iliac artery. Ovarian artery is a direct branch of aorta. Other branches of anterior trunk of internal iliac artery are: Umbilical artery Obturator artery Uterine artery Inferior vesical and vaginal artery Middle rectal artery Internal pudendal artery Inferior gluteal artery Branches of posterior trunk of internal iliac artery are: Iliolumbar artery Lateral sacral artery Superior gluteal artery Ref: Morton D.A., Foreman K.B., Albertine K.H. (2011). Chapter 12. Pelvis and Perineum. Cunningham F.G., Leveno K.J., Bloom S.L., Hauth J.C., Rouse D.J., Spong C.Y. (2010). Chapter 2. Maternal Anatomy. In F.G. Cunningham, K.J. Leveno, S.L. Bloom, J.C. Hauth, D.J. Rouse, C.Y. Spong (Eds), Williams Obstetrics, 23e.